Pseudochylous ascites occurs in-
1. Cirrhosis
2. Hyperlipidemia
3. Filariasis
4. Malignant ascites

Correct answer: 4. Malignant ascites

Explanation: • Abnormal accumulation in the peritoneal cavity of a milky fluid that resembles chyle.
• The turbidity of the fluid is caused by cellular debris in the fluid.
• Pseudochylous ascites is indicative of an abdominal tumor or infection.
• In some patients the ascitic fluid appears milky because of an excess of chylomicrons (triglycerides)